A 37-year-old woman presents to her physician the complaint of difficulty in reading and fatigue. She reports having had "pins and needles" feeling in her left arm several months ago that resolved without treatment. On examination, She has visual field deficits and mild hyperreflexia. The MRI examination confirms the Suspected diagnosis. Which of the following is the underlying mechanism responsible for the patient's disease?
1. Antibodies to acetylcholine receptors
2. Axonal degeneration
3. Demylination of neurons
4. Posterior column degeneration

Correct answer: 3. Demylination of neurons

Explanation: A demyelinating disease is any condition that results in damage to the protective covering (myelin sheath) that surrounds nerve fibers in your brain, optic nerves and spinal cord. When the myelin sheath is damaged, nerve impulses slow or even stop, causing neurological problems Symptoms: The most common symptoms of demyelinating disorders are: Vision loss. Muscle weakness. Muscle stiffness. Muscle spasms. Changes in how well your bladder and bowels work Blurred double vision (Diplopia) Ataxia. Clonus. Dysarthria. Fatigue. Clumsiness. Hand paralysis. Hemiparesis Ref Harrison20th edition pg 2776